All among the following are markers of Wilms' tumor except:
1. Desmin
2. Vimentin
3. TTF 1
4. Cytokeratin

Correct answer: 3. TTF 1

Explanation: Wilms' tumor has it's origin from following: Blastema origin Epithelial origin Stromal origin Intermediate filament Tissue types Keratin Epithelium Vimentin Mesenchyme Desmin Muscle GFAP Neurofilament Neuroglia Neurons Therefore markers of Wilms' tumor from given option are Desmin.Vimentin, Cytokeratin TTF 1 is a immunohistochemical marker used for diagnosis of small cell lung carcinoma, adenocarcinoma of lung and thyroid cancer